Spaghetti and meat ball appearance is seen with-
1. Pityriasis rosea
2. Pityriasis versicolor
3. Acne rosacea
4. Lichen planus

Correct answer: 2. Pityriasis versicolor

Explanation: PITYRIASIS VERSICOLOR:- Tinea versicolor. Macules with fine scaling. Causative organism: dimorphic fungi.genus Malassezia globosa and M.furfur. Clinical features:- Hypo/hyperpigmented macules with fine ,branny scales. The lesions may coalesce to involve large areas,forming map like structures. Scraping the surface will accentuate the scaling,known as scratch sign or coup d&;ongle sign or Besnier sign. Sites involved-upper trunk( mainly). Also affect face and flexural areas. Investigation:- Wood's lamp examination - golden yellow flourescence. Scraping and direct microscopy after adding KOH will demonstrate presence of both yeast and hyphal forms.This appearance is called as "spaghetti and meatball" appearance. {Reference: IADVL textbook of dermatology, vishalakshi Vishwanath pg no.52}